A 34 year old male is pushing heavy weights while doing squats. Unfortunately while maxing out he drops weight and immediately grabs upper thigh, writhing with pain.He was admitted to the emergency department and on examination was diagnosed with Femoral hernia. Which of the following structure lie lateral to the herniated structure ?
1. Femoral nerve
2. Femoral vein
3. Pectineus
4. Femoral artery

Correct answer: 2. Femoral vein

Explanation: In femoral hernia,the abdominal contents are forced through femoral ring, which is lateral to lacunar ligament medial to femoral vein. Adductor longus and pectineus lie deep and medial to the hernia. Ref: Gray's Anatomy The Anatomical Basics of Clinical Practice 41 e pg 1081.